Which type of RPD definitely requires an indirect retainer?
1. Class I,II R.P.D
2. Class II, IV R.P.D
3. Class I & IV R.P.D
4. Class III & IV R.P.D

Correct answer: 1. Class I,II R.P.D